Birbeck granules are present in -
1. Merkel cell
2. Melanocytes
3. Largenhans cells
4. Keratinocytes

Correct answer: 3. Largenhans cells

Explanation: Robbins basic pathology 9th edition page no 449 The proliferating Langerhans cell express MHC class 2antigens, CD1a, and langerin. Langerin is a transmembrane protein found in birbeck granules. granules are subdomains of endosomal recycling compartment in human epidermal Langerhans cells, which form where Langerin accumulate.